Infective dose of salmonella typhi ?
1. 10 bacilli
2. 1000 bacilli
3. 103-106 bacilli
4. 1010 - 1012 bacilli

Correct answer: 3. 103-106 bacilli

Explanation: Ans. is 'c' i.e., 103-106 bacilli In human volunteer experiments, the infective dose was found to be 103-106 bacilli.